Odd beliefs, oddities of speech, fantasies mannerism, odd clothing with magical thinking is seen in which type of personality disorder:
1. Schizoid
2. Paranoid
3. Schizotypal
4. Borderline

Correct answer: 3. Schizotypal

Explanation: Odd behavior including odd speech, mannerism and magical thinking is seen in Schizotypal personality disorder. This disorder is a part of Cluster A Personality disorder. Schizotypal PD also has a strange way of communication and decompensate in period of stress. Other types of cluster A personality personality disorder are Paranoid PD and Schizoid PD. Cluster B PD has four types- Histrionic PD , Narcissistic PD, Antisocial PD and Borderline PD. Cluster C PD has three types- Avoidant PD , Dependent PD, Obsessive Compulsive PD